HDL is increased by
1. Exercise
2. 400 mg Vit. E daily
3. Aspirin
4. DHEA

Correct answer: 1. Exercise

Explanation: Exercise

Aerobic exercise increases the level of HDL cholesterol.